Spinbarkeitt is mostly demonstrated in the ....phase :
1. Proliferative
2. Secretary
3. Menstrual
4. Just before menstruation

Correct answer: 1. Proliferative

Explanation: Proliferative